All of the following structures undergo mass contraction except
1. Ureter
2. Uterus
3. Urinary bladder
4. Gall bladder

Correct answer: 1. Ureter

Explanation: Urine production by the kidneys is a continuous process. The contraction of the ureter is peristalic and not mass contraction. All other options are organs which show mass contraction.